Multiplication factor of finding height from length of foot is
1. 5
2. 6
3. 7
4. 8

Correct answer: 3. 7

Explanation: Height of individual can be calculated from the length of foot print Height = length of foot print x 7 Ref: FORENSIC MEDICINE AND TOXICOLOGY Dr PC IGNATIUS THIRD EDITION PAGE 100